Which of the following may present with isolated prolongation of prothrombin time (PT):
1. Factor VIII deficiency
2. Factor VII deficiency
3. Factor XII deficiency
4. Factor IX deficiency

Correct answer: 2. Factor VII deficiency

Explanation: Answer is B (Factor VII deficiency) Factor VII deficiency may present with isolated prolongation of prothrombin time. Deficiency of factor VIII, IX and XII may present with isolated prolongation of Partial Thromboplastin Time (APTT) and not isolated prolongation of prothrombin time (PT) Cause of Isolated prolongation of PT (CMDT) Vitamin K deficiency Warfarin therapy Liver disease Factor VII deficiency